Scab or crust of abrasion appears brown in:
1. 12-24 h
2. 2-3 days
3. 4-5 days
4. 5-7 days

Correct answer: 3. 4-5 days

Explanation: Fresh Raw & Reddish 2 - 24 hours Reddish scab (lymph, blood dries up) 2 - 3 days Reddish brown scab 4 - 5 days Brown scab 6- 7 days Scab falls off. Remember the mnemonic RRRBBB